The newborn period is defined as the first ________ days after birth
1. 21
2. 28
3. 30
4. 40

Correct answer: 2. 28

Explanation: The neonatal period is defined as the first 28 days after birth and can be further subdivided into Very early: Birth to 24 hours Early: Birth to 7 days Late: 8 days to 28 days Ref: Nelson textbook of pediatrics 21st edition Pgno: 863